Alpha 1a selective blocker is
1. Tamsulosin
2. Prazosin
3. Yohimbine
4. Idazoxan

Correct answer: 1. Tamsulosin

Explanation: Tamsulosin, silodosin are more selective alpha blockers in prostrate uhera.used for BPH. Ref: KD Tripathi 8th ed.